Conley's Pointer is used to
1. Identify the Lingual Nerve
2. Identify the Hypoglossal Nerve
3. Identify the Facial Nerve
4. All the above

Correct answer: 3. Identify the Facial Nerve

Explanation: Ans. (c) Identify the facial nerveRef: Bailey and Love 27th Edition Page 790Location of Facial Nerve Trunk: Antegrade techniques:* Conley's pointer - Inferior portion of cartilaginous canal, Facial nerve lies 1cm deep and inferior to its tip.* Upper border of posterior belly of digastric muscle* Squamo tympanic fissure.* Styloid process (nerve is superficial to it)* Mastoid process can be drilled and nerve identified more proximally.